Beta blockers are effective in:
1. Mania
2. Anxiety
3. Depression
4. Schizophrenia

Correct answer: 2. Anxiety

Explanation: Ans: b (Anxiety) Ref: Ahuja, 6th ed, p. 95; Kaplan & Sadock, 8th ed, p. 1719Pharmacological treatment of anxiety disorders includes the use of benzodiazepines, beta blockers, buspirone and anti depressants.Antidepressants are among the most effective antianxiety agents available. SSRIs have been shown to help reduce or prevent various forms of anxiety, including panic anxiety, obsessive-compulsive symptoms, generalized anxiety, posttraumatic stress symptoms, and social anxiety. Most treatment algorithms begin treatment of each of these disorders with an SSRI.Serotonin-Norepinephrine reuptake inhibitor (SNRI) venlafaxine has been shown in randomized, controlled trials to be as effective as SSRIs in the treatment of generalized anxiety disorder and generalized social anxiety disorder.Beta blockers like propranalol and atenolol are particularly useful in management of anticipatory anxiety (anxiety occurring before going on stage, or before examinations)Buspirone is an anti anxiety drug which does not have any dependence potential, unlike benzodiazepines.Note on anxiety disordersAnxiety is the commonest psychiatric symptom in clinical practice and anxiety disorders are one of the commonest psychiatric disorders in general population.1) Generalised anxiety disorder: This is characterized by an insidious onset in the third decade and a stable, usually chronic course which may or may not be punctuated by panic attacks.The symptoms of anxiety should last tor at least a period of 6 months for a diagnosis of generalized anxiety disorder to be made. It is the commonest psychiatric disorder in the population.2) Panic disorder: This is characterized by discrete episodes of acute anxiety. Panic disorder can either present alone or with agoraphobia.Note on phobiasPhobia is defined as an irrational fear of a specific object. situation or activity, often leading to persistant avoidance of the feared object situation or activity, often leading to persistant avoidance of the feared object situation or activity.The common type of phobias are:a) Agoraphobia-It is the commonest type of phobia encountered in clinical practice.lt is characterized by an irrational fear of being in places away from the familiar setting of home. It includes fear of open spaces.public spaces, crowded spaces and any other place from where there is no easy escape to a safe place.A full blown attack may occur (agoraphobia with panic disorder) or only a few symptoms(like dizziness or tachycardia) may occur (agoraphobia without panic disorder)SSRIs are currently the drugs of choice .with paroxetine being the most widely used drug. "Nomophobia"-one of the latest additions to the phobia list. It is the fear of being out of of mobile phone contact.b) Social phobiac) Specific (simple) phobia